The feature of petit mal epilepsy in EEG is –
1. Spike and dome
2. Continuous stunted spikes
3. Waves at the rate of 10/sec.
4. Continuous tall spikes

Correct answer: 1. Spike and dome

Explanation: The EEG hallmark of typical absence seizure is a generalized symmetric 3 Hz spike and slow wave discharge.